True about histology of small intestine is A/E
1. Zone of replication is in lower half of gland
2. M cells convey microorganism to peyer's patches
3. GALT is absent in lamina propria
4. SIgA provides mucosal immunity

Correct answer: 3. GALT is absent in lamina propria

Explanation: C i.e. GALT is absent in lamina propria- Zone of replication (intestinal stem cell niche) is restricted to lower half of intestinal gland (crypts of Lieberkuhn).- Microfold (M) cells are antigen transporting cells that convey microorganisms & macromolecules from intestinal lumen to Peyer's patches.- Close entero endocrine cells are resting non secretory cells . Whereas open cells secrete CCK, secretin, GIP, motilin, gastrin & ghrelin hormones.- GALT is prominent in lamina propria of small intestine . Secretory IgA is principle molecule of mucosal immunity